Hypomagnesemia due to increased excretion by the kidney is caused by all except:
1. Furosemide
2. Digitalis
3. Aminoglycoside
4. Cisplatin

Correct answer: 2. Digitalis

Explanation: Hypomagnesemia is caused by: Loop diuretics thiazide diuretics antibiotics like aminoglycoside, amphotericin, pentamidine cisplatin cyclosporin digoxin- by sending magnesium into the cell- not by increasing the excretion of magnesium through urine mycophenolate ESSENTIALS of medical pharmacology SIXTH EDITION K D TRIPATHI Page:562,480